The shotgun does not contain -
1. Barrel
2. Choke bore
3. Bullets
4. Muzzle

Correct answer: 3. Bullets

Explanation: Projectiles of shotgun are lead (or recently steel) shots and pellets (not bullet). Bullets are projectile of rifled firearm (rifle, pistol, revolver).
Barred, muzzle and choke bore (chocking at muzzle end) are parts of the shotgun.